'Weak giants' are produced by -
1. Thyroid adenomas
2. Thyroid carcinomas
3. Parathyroid adenomas
4. Pituitary adenomas

Correct answer: 4. Pituitary adenomas

Explanation: Ans. is 'd' i.e., Pituitary adenoma o In children and adolescent growth hormone hypersecretion prior to epiphyseal long bone closure causes gigantism. o The muscles often appear enlarged hut they have decreased force generation. o So, hyperpituitarism causes giants which have weak muscles and the most common cause of hyperpituitarism is pituitary adenoma. o Myopathy of hyperpituitarism - o Patients with hyperpituitarism have mild proximal weakness with muscle atrophy. Myopathy is related to the degreed of acromegaly. o Remember that all endocrinal disorders cause myopathy but none of them cause gigantism except hyperpituitarism.